One of the following is characterised by RIM sign -
1. Hydronephrosis (Gross)
2. Hypernephroma
3. Chronic pyelonephritis
4. Polycystic kidney

Correct answer: 1. Hydronephrosis (Gross)